An example for tumor suppressor gene is
1. Myc
2. FOS
3. RAS
4. Rb

Correct answer: 4. Rb

Explanation: Selected Tumor Suppressor GenesInhibitors of Mitogenic Signaling Pathways1. APC2. NF13. NF24. PTCH5. PTEN6. SMAD2, SMAD4Inhibitors of Cell Cycle Progression1. RB2. CDKN2AInhibitors of "pro-growth" Programs of Metabolism and Angiogenesis1. VHL2. STK113. SDHB, SDHDInhibitors of Invasion and MetastasisCDH1Enablers of Genomic StabilityTP53DNA Repair Factors1. BRCA1, BRCA22. MSH2, MLH1, MSH6Unknown Mechanisms1. WT12. MEN1Reference: Robbins and Cotran Pathologic Basis of Disease; 9th edition; Chapter 7; Neoplasia